Thrombocytopenia is an adverse reaction of which vaccine:
1. BCG
2. DPT
3. MMR
4. Hep B

Correct answer: 3. MMR

Explanation: Thrombocytopenia is found as an adverse reaction of MMR vaccine. Usually mild and self-limiting, occasionally may need steroid or platelet. Ref: Park 21st edition, page 107.